Nelson syndrome is seen in:
1. Adrenalectomy
2. Hypopitutarism
3. Deficiency of beta cells
4. Deficiency of growth hormone

Correct answer: 1. Adrenalectomy

Explanation: a. Adrenalectomy(Ref: Nelson's 20/e p 2714-2723, Ghai 8/e p 526-527)Adrenalectomy, in a case of pituitary adenoma, may lead to increased ACTH secretion by an unresected pituitary adenoma, evidenced mainly by marked hyperpigmentation; this condition is termed Nelson syndrome.